Root canal treated tooth are hard to resorb because of
1. Lack of vitality of pulp results in loss of neuropeptides
2. Cementum becomes more calcified
3. Lack of differentiation of odontoclast because of no live cells
4. PDL become necrosed

Correct answer: 1. Lack of vitality of pulp results in loss of neuropeptides